This phase in hair cycle determines the length to which hair in different body areas can grow –
1. Anagen
2. Catagen
3. Telogen
4. Kenogen

Correct answer: 1. Anagen